Which of the following conditions may lead to exudative pleural effusions?
1. Cirrhosis
2. Nephrotic syndrome
3. Congestive heart failure
4. Bronchogenic carcinoma

Correct answer: 4. Bronchogenic carcinoma

Explanation: Common causes of exudates include: Para-pneumonic effusion. Malignancy (lung or breast cancer, lymphoma, leukemia) Pulmonary embolism Collagen-vascular conditions Tuberculosis Pancreatitis Trauma Post-cardiac injury syndrome Esophageal perforation Meig's syndrome (benign pelvic neoplasm with associated ascites and pleural effusion) Ovarian hyperstimulation syndrome Asbestos-related pleural disease